The commonest cause of death in ARDS is:
1. Hypoxemia
2. Hypotension
3. Non pulmonary organ failure
4. Respiratory failure

Correct answer: 3. Non pulmonary organ failure

Explanation: In ARDS, most of the deaths are attributable to sepsis or multiorgan failure and in some cases direct lung injury.(ref Robbins 9th/674)